All of the following statetments regarding Hashimoto's thyroiditis are true, EXCEPT:
1. Follicular destruction
2. Increase in lymphocytes
3. Oncocytic metaplasia
4. Orphan Annie eye nuclei

Correct answer: 4. Orphan Annie eye nuclei

Explanation: Orphan Annie eye nuclei is a histological feature seen in Papillary Ca thyroid. Histologic features of Hashimotos thyroiditis includes: diffuse infiltration of the gland by small lymphocytes and plasma cells, occasional presence of well developed germinal centers. The thyroid follicles in it are smaller than normal has reduced amount of colloid and increased interstital connective tissue. Characteristic cells which line the follicles are Hurthle cells or Askanazy cells which has abundant, eosinophilic, granular cytoplasm.